Which one of the following is best associated with Lumefantrine -
1. Antimycobacterial
2. Antifungal
3. Antimalarial
4. Antiamoebic

Correct answer: 3. Antimalarial

Explanation: Ans. is 'c' i.e., Antimalarial o Lumefantrine is an antimalarial drug that is similar in structure and mode of action to arylamino group of antimalarial drug such as quinine, mefloquine and halofantrine.